The characteristic cell of granulomatous reaction is:
1. Plasma cell
2. Epithelioid cell
3. Lymphocyte
4. Eosinophil

Correct answer: 2. Epithelioid cell

Explanation: Characteristic features of granulomatous reaction/inflammation
a) Epithelioid cells (modified macrophages)
b) Giant cells (Langhans, foreign body)
c) Necrosis (caseation)
d) Fibrosis